The most common cause of vitreous hemorrhage in adults is:
1. Retinal hole
2. Trauma
3. Hypertension
4. Diabetes

Correct answer: 4. Diabetes

Explanation: D i.e. Diabetes "Proliferative diabetic retinopathy is the commonest cause of spontaneous viterous haemorrhage in adults"Q-Parsons' p. 324 "Trauma is the commonest cause of vitreous haemorrhage in the young"Q -Parsons' p. 324